Average duration of 3rd stage of labor is:
1. 45 minutes
2. 15 minutes
3. 60 minutes
4. 5 minutes

Correct answer: 2. 15 minutes

Explanation: Stage Definition- First: From the onset of TRUE labor to full dilation of cervix. Average duration: 12 hours in primigravida and 6 hours in multigravida. Second: From full dilation of cervix to birth of the baby. Median duration is approximately 50 minutes in primigravida and 20 minutes in multigravida. Third: From birth of the baby to delivery of the placenta. Average duration: 15 minutes in both primigravida and multigravida. Fourth: 1-hour observation period, following delivery of the placenta.